An infant presented with intellectual disability,regression of motor skills,problems with feeding,impaired head control,macrocephaly.MRI Of the infant is given below.what is the most probable diagnosis?
1. Hawkinsinuria
2. Canavans disease
3. Oasthouse syndrome
4. Hartnup disease

Correct answer: 2. Canavans disease

Explanation: Deficiency of aspartoacylase leads to Canavan disease. It is an autosomalrecessive disorder, which leads to excessive excretion of N-acetylaspartic acid in the urine. It is characterized by leukodystrophy. Leukodystrophy refers to progressive degeneration of the white matter of the brain due to imperfect growth or development of the myelin sheath, the fatty covering that acts as an insulator around nerve fiber. Reference: Harpers illustrated biochemistry 30th edition